Block out done on proximal tooth surfaces to be used as guiding planes is
1. Parallel blockout
2. Shaped blockout
3. Arbitary blockout
4. All of the above

Correct answer: 1. Parallel blockout